Pugilistic attitude is seen i
1. Hanging
2. Drowning
3. Burns
4. Sexual asphyxia

Correct answer: 3. Burns

Explanation: Pugilistic attitude or boxer's attitude this occurs due to coagulation of the muscle proteins resulting in contraction of muscle fibers. As the flexors are bulkier than extensors, they contract more and force the body to attain such an attitude. Ref: TEXTBOOK OF FORENSIC MEDICINE AND TOXICOLOGY KRISHNAN VIJ FIFTH EDITION PAGE 164